Laboratory findings in fat embolism consist of the following except -
1. Thrombocytoenia
2. Fat globules in urine
3. Hypercalcemia
4. Anemia

Correct answer: 3. Hypercalcemia

Explanation: Ans. is 'c' i.e., Hypercalcemia Fat embolismo Fat embolism means circulation of fat globule away from its site of origin,o When fat embolism causes symptoms it is called fat embolism syndrome.Causes of fat embolism :-1. Fracture of long bone (most common) - Blunt trauma6. Recent Corticosteroid administration2. Soft tissue trauma3. Bums4 Parenteral lipid infusion5. Sickle cell crisis7. Acute pancreatitis8. D.M.9. Liposuction10. Decompression sicknessPathogenesis of fat embolism syndromeo Fat is released from the marrow after trauma and enters the circulation by rupture of the marrow vascular sinusoids.o These fat droplets are deposited in pulmonary and brain vessels - Respiratory & neurological symptoms.Clinical manifestations of fat embolism syndromeo Classical triad of fat embolism syndrome is -l) Respiratory symptomsii) Neurological symptomsiii) Petechial rash- Dyspnoea, Tachypnoea, or even ARDS.- Confusion, disorientation.- In axilla, necko Other - Fever, tachycardia, Subconjuctival & retinal hemorrhages.Lab findingso Thrombocytopeniao Hypocalcemiao Fat microglobulinemia (not macroglobulinemia)o |ESRo Anemiao Hypoalbuminemiao Fat globules in urineo Hypoxemia